Ectopic pregnancy is seen most commonly in:
1. Previous H/O recurrent PID
2. Previous H/O abortion
3. Previous H/O twin pregnancy
4. Endometriosis

Correct answer: 1. Previous H/O recurrent PID

Explanation: The most common cause of ectopic is Pelvic Inflammatory Diseases(PID).